Approximate distance of diphragmatic constriction from nostril & incisor are
1. 7" & 6"
2. 11' & 10"
3. 17" & 16"
4. 23" & 22"

Correct answer: 3. 17" & 16"

Explanation: C i.e. 17" & 16"